True about ω3 fatty acid are all except:
1. Decrease the risk of Cardiovascular Disease
2. Increase the risk of various mental illness
3. They are anti inflammatory
4. Decrease Serum Triglycerides

Correct answer: 2. Increase the risk of various mental illness

Explanation: Signiﬁcance of ω3 fatty acid

Decrease the risk of Cardiovascular Disease.
Appear to replace arachidonic acid in platelet membranes.
Lower the production of Thromboxane and tendency of the platelet aggregation.
Promote the synthesis of less inﬂammatory prostaglandins and leukotrienes, hence they are anti  inﬂammatory.
Decrease Serum Triglycerides.
Fish oils and certain plant oils are rich in ω3 Fatty Acid are hence used in familial  hyperlipoproteinemia with hypertriglyceridemia.

Key Concept:
Lower the risk of various mental illness (Depression, ADHD) also lower the risk of chronic degenerative diseases such as Cancer, Rheumatoid Arthritis, and  Alzheimer's Disease.